After an overnight fasting , GLUTs are reduced in:
1. Brain
2. RBC
3. Kidney
4. Adipose tissues

Correct answer: 4. Adipose tissues

Explanation: Option d : After an overnight fasting , GLUTs are reduced in ADIPOSE TISSUES Insulin stimulated GLUTs channels (GLUT-4) opens during the fed state in Skeletal muscles, Cardiac muscles Adipose tissues. So, after an overnight fast, GLUTs are reduced in skeletal muscles, cardiac muscles & adipose tissues due to low insulin. GLUTs channels (GLUT-1 and 3) open during fasting in Brain, RBC, Kidney & Placenta.